All are used for treatment of pulmonary hypertension EXCEPT:
1. Endothelin receptor antagonists
2. Phosphodiesterase inhibitors
3. Calcium channel blockers
4. Beta blockers

Correct answer: 4. Beta blockers